Which among the following is not a branch of Arch of Aorta?
1. Brachiocephalic
2. Right common carotid
3. Left common carotid
4. Left Subclavian

Correct answer: 2. Right common carotid

Explanation: Right common carotid REF: Keith L. Moore 4th edition page 103The branches of the arch of the aorta are:Brachiocephalic trunk.Left common carotid artery.Left subclavian artery.The brachiocephalic trunk, the first and largest branch of the arch, arises posterior to the manubrium, where it lies anterior to the trachea and posterior to the left brachiocephalic vein. It ascends superolaterally to reach the right side of the trachea and the right sternoclavicular joint, where it divides into the right common carotid and right subclavian arteries.Ascending aortaLeft subclavian arteryLeft vertebral arteryLeft common carotid arteryBrachiocephalic arteryRight common carotidRight vertebral arteryRight subclavian arteryDescending aortaAortic arch